Which of the following muscle relaxants is free of cardiovascular effects over the entire clinical dose range?
1. Pancuronium
2. Vecuronium
3. Atracurium
4. Pipecuronium

Correct answer: 2. Vecuronium

Explanation: Pancuronium rapid IV injection may cause rise in BP and tachycardia due to cabal blockade and NA release. Vecuronium has cardiovascular stability due to lack of histamine release and ganglionic action. Atracuronium hypo tension may occur due to histamine release. Pipecuronium transient hypotension and bradycardia may occur . Hence Vecuronium has cardiac stability. From K D Tripati 7th edition Page no 353